All the following are pharmacologic therapies for androgen excess except
1. Glucocorticoids
2. Spironolactone
3. Fludrocortisone
4. Oral contraceptives

Correct answer: 3. Fludrocortisone